Flail chest which of the following is not true -
1. It can be life threatening
2. Three or more ribs should be broken at two or more places
3. The flail segment moves opposite to the chest wall
4. Work of breathing is not increased

Correct answer: 4. Work of breathing is not increased

Explanation: Ans. is 'd' i.e., Work of breathing is not increased Flail chest* Flail chest is a life-threatening medical condition that occurs when a segment of the rib cage breaks under extreme stress and becomes detached from the rest of the chest wall. It occurs when multiple adjacent ribs are broken in multiple places, separating a segment, so a part of the chest wall moves independently.* The number of ribs that must be broken require three or more ribs in two or more places.* Some sources quote 2 or more ribs at 2 or more places.* The flail segment moves in the opposite direction to the rest of the chest wall: because of the ambient pressure in comparison to the pressure inside the lungs, it goes in while the rest of the chest is moving out, and vice versa. This so-called "paradoxical breathing" is painful and increases the work involved in breathing.